Which of the following is not a feature of spinal cord reflex?
1. Delay
2. Fatigue
3. Memory
4. Summation

Correct answer: 3. Memory

Explanation: The spinal cord functions primarily in the transmission of nerve signals from the motor cortex to the body, and from the afferent fibers of the sensory neurons to the sensory cortex. It is also a center for coordinating many reflexes and contains reflex arcs that can independently control reflexes Ref: guyton and hall textbook of medical physiology 12 edition page number:774,775,776